Which of the following is/are benefits of combined OCPs use ?a) Hepatocellular adenomab) PIDc) Ovarian cystsd) Fibrocystic disease of breaste) Ectopic pregnancy
1. bce
2. abd
3. bcde
4. acde

Correct answer: 3. bcde